Which one of the following conditions is diagnosed by T99 Pertechnetate Scintigraphy?
1. Pharyngeal diverticulum
2. Duodenal diverticulum
3. Meckel's diverticulum
4. Colonic diverticulum

Correct answer: 3. Meckel's diverticulum